When the sympathetic nervous system is activated:
1. Norepinephrine is released by the vascular smooth muscle cells
2. Acetylcholine is released onto vascular smooth muscle cells
3. Norepinephrine is released from axons onto the arteriolar wall
4. The arterioles constrict because nitric oxide production is suppressed

Correct answer: 3. Norepinephrine is released from axons onto the arteriolar wall

Explanation: Ans. C. Norepinephrine is released from axons onto the arteriolar wallNerve fibers, not vascular smooth muscle, release norepinephrine. The norepinephrine from the sympathetic nerves simply diffuses from the axons and binds to specific receptors on smooth muscle cells.